True about incisional hernia
1. Not seen post laparoscopic procedures
2. Strangulation is common
3. Multiple defects may be seen withn the same scar
4. Mesh is not recommended in repair

Correct answer: 3. Multiple defects may be seen withn the same scar

Explanation: Incisional herniaIncisional hernias have been reported in 10-50% of laparotomy incisions and 1-5% of laparoscopic port-site incisions.Causation due to patient, wound and surgeon factorsOften multiple defects within the same scarObstruction is common but strangulation is rareSimple suture techniques without the use of prosthetic mesh for reinforcement, are not recommended because of the high risk of recurrence.Open and laparoscopic repairs possibleRef: Bailey and love 27e pg: 1040